Higher hematocrit in venous blood than in arterial blood is due to
1. High chloride in RBC
2. High Na+ in plasma
3. High HCO3- in plasma
4. High K+ in RBC

Correct answer: 1. High chloride in RBC

Explanation: In venous blood, Cl- moves into RBC which results in fluid shift into RBC. This results in higher hematocrit.